Na content (mEq/L) in Normal saline is:
1. 111
2. 130
3. 135
4. 154

Correct answer: 4. 154